Nerve involved due to lunate dislocation?
1. Median
2. Radial
3. Axillary
4. Ulnar

Correct answer: 1. Median

Explanation: Ans. A. MedianLunate dislocations are an uncommon traumatic wrist injury that require prompt management and surgical repair. The lunate is displaced and rotated volarly. Patients present with wrist pain following a fall. Volar wrist swelling is usually prominent. The swelling often causes a decrease in 2-point discrimination in the median nerve distribution due to acute carpal tunnel syndrome.